A child presents with unilateral proptosis which is compressible and increases on bending forwards. It is non-pulsatile and has no thrill or bruit. MRI shows retroorbital mass with echogenic shadows. The most probable diagnosis is
1. Orbital varix
2. Orbital encephalocoele
3. Orbital A-V malformation
4. Neurofibromatosis

Correct answer: 1. Orbital varix